A child taken for CECT chest was injected a contrast. Immediately after the injection she developed a swelling at the site of injection which gradually increased. She also complained of numbness and pain on passive extension of fingers. On examination radial pulse is feeble. What should be done next?
1. High dose prednisolone + antihistamines
2. Angiography
3. Immediate fasciotomy
4. Surgical exploration

Correct answer: 3. Immediate fasciotomy

Explanation: The child has most likely developed compartment syndrome secondary to arterial puncture and hematoma formation. Immediate fasciotomy should be done in this case , any delay in treatment by 6-8 hours can lead to irreversible nerve and muscle damage. Compartment syndrome: is a limb threatening and life threatening condition, defined as the compression of nerves, blood vessels, and muscle inside a closed space (compartment) within the body. It is characterised by pain out of proportion to what is expected, paresthesia, pallor, paralysis and pulselessness.